A female treatment for depression took a massive dose of amitriptyline for suicide. Which of the following is wrong regarding management for her
1. Gastric lavage was done
2. Sodium bicarbonate was administered to treat acidosis
3. Atropine sulphate was administered as an antidote
4. Diazepam was injected to control seizures.

Correct answer: 3. Atropine sulphate was administered as an antidote

Explanation: Ans. c. Atropine sulphate was administered as an antidote Tricyclic antidepressants (amitriptyline) cause anticholinergic effects such as dry skin, ileus, urinary retention etc., administration of atropine would further worsen these symptoms. Atropine is better avoided in poisoning or overdose of cyclic antidepressants Poisoning/Overdose of Cyclic Antidepressants Mechanism of Action: Inhibition of neurotransmitter uptake leading to cholinergic and alpha-adrenergic blockade Direct myocardial depressant effect Systemic Symptoms CNS SymptomsQ Depression of mental stateQ Coma, DeliriumQ Altered sensoriumQ Generalized brief and self-limited convulsionsQ Myoclonus, NystagmusQ Dysarthria, AtaxiaQ CVS Symptoms Sinus tachycardiaQ Conduction delaysQ Ventricular arrhythmiasQ Negative inotropic actionQ HypotensionQ Parasympathetic Dry skin and mucosaQ DeusQ Urinary retentionQ MydriasisQ HypothermiaQ